True about metastatic calcification?
1. Serum ca level is normal
2. Occurs in dead/dying tissue
3. Occurs in damaged heart valves
4. Principally affects the kidneys, lungs, and gastric mucosa

Correct answer: 4. Principally affects the kidneys, lungs, and gastric mucosa

Explanation: Metastatic calcification can occur in normal tissues whenever there is hypercalcemia.Metastatic calcification can occur widely throughout the body but principally affects the interstitial tissues of the vasculature, kidneys, lungs, and gastric mucosa. The calcium deposits morphologically resemble those in dystrophic calcification.( Robbins Basic Pathology, 9th edition, page 26 )